Alcoholic blackouts are seen at levels of alcohol in blood
1. 20-30 mg/dL
2. 80-200 mg/dL
3. 200 - 300 mg/dL
4. > 300 mg/dL

Correct answer: 3. 200 - 300 mg/dL

Explanation: Acute Alcohol Intoxication:



Blood Alcohol concentration
Symptoms


20 - 30 mg / dL
Decreased concentration decreased motor performance


30 - 80 mg/dL
Signs of intoxication appears, worsening of motor symptoms and thinking ability.


80 - 200 mg /dL
Incordination


200 - 300 mg / dL
Alcohol blackout
(Anterograde Amnesia)


> 300 mg / dL
Coma & Death.